In forensic medicine, the parameter Cephalic index is used in the determination of:
1. Sex
2. Race
3. Height
4. Stature

Correct answer: 2. Race

Explanation: "Race of a dead remains can be determined by Cephalic index, Height index and Nasal index" Cephalic index also known as Breadth index is obtained by multiplying maximum transverse breadth by 100 and dividing it by maximum length of the skull. The breadth is the greatest diameter across the skull above the mastoid process. The length is measured between the glabella and the external occipital protuberance.